Which is risk factor for cholangiocarcinoma
1. Obesity
2. Primary sclerosing cholangitis
3. Salmonella carrier state
4. HBV infection

Correct answer: 2. Primary sclerosing cholangitis

Explanation: Risk factors include primary sclerosing cholangitis Congenital fibropolycystic disease of biliary tree Infestation by Clonorchis sinensis or Opisthorchis viverrini HCV infection Exposure to Thorotrast TEXT BOOK OF ROBBINS BASIC PATHOLOGY NINTH EDITION PAGE.643